Hurt is defined under section:
1. 319 IPC
2. 320 IPC
3. 321 IPC
4. 323 IPC

Correct answer: 1. 319 IPC

Explanation: Ans. 319 IPC